HLA is located on
1. Short arm of chr-6
2. Long arm of chr-6
3. Short arm of chr-3
4. Long arm of chr-3

Correct answer: 1. Short arm of chr-6

Explanation: Harshmohan textbook of pathology 7th edition. * HAL located on short arm of chromosome no 6